Radioactive substance emits the following except –
1. Gamma
2. Beta
3. Alpha
4. X–rays

Correct answer: 4. X–rays

Explanation: Linear accelerator:- X-ray, electron beam.
Radioactive nuclide :- Gamma rays and particulate radiations (Alpha particles, Beta particles, Positrons, neutrons).